Infections transmitted by blood ?
1. HIV
2. Malaria
3. Toxoplasma
4. All

Correct answer: 4. All

Explanation: Ans. is'd' i.e., All